Sexual asphyxia is seen in cases of:
1. Masochism
2. Voyeurism
3. Sadism
4. Fetichism

Correct answer: 1. Masochism

Explanation: Sexual Masochism Disorder Is a condition in which someone is sexually aroused by being bound, beaten, or otherwise made to suffer physical pain or humiliation. Sexual asphyxia/ Asphyxiophilia is considered a sub-type of sexual masochism disorder. In this disorder, people restrict their breathing (partial asphyxiation) at or near the time of orgasm to enhance the experience. Typically, people use articles of clothing (eg, scarves, underwear) as a ligature to choke themselves. The ligature is often suspended from an object in the room (eg, doorknob, bedpost). Loss of consciousness can occur rapidly because obstruction of venous return from the brain impairs cerebral perfusion even before hypoxia and hypercarbia become significant. People who asphyxiate themselves in such a way that the ligature does not release if they lose consciousness can inadvertently have permanent brain damage or die.